Lung head ratio is useful in diagnosis of:
1. Congenital diaphragmatic hernia
2. Sequestration
3. Ileal atresia
4. Esophageal atresia

Correct answer: 1. Congenital diaphragmatic hernia

Explanation: A useful index of severity for patients with left Congenital Diaphragmatic Hernia is the lung-to-head ratio (LHR), which is the product of the length and the width of the right lung at the level of the cardiac atria divided by the head circumference (all measurements in millimeters). It helps in predicting prognosis. Ref: Schwartz's principle of surgery 9th edition, chapter 39.